Drug that can cause hypertrophic pyloric stenosis is :
1. Tertacycline
2. Erythromycin
3. Ampicillin
4. Rifampicin

Correct answer: 2. Erythromycin